Jod basedow phenomenon is seen in all of the following, EXCEPT:
1. Amiodarone
2. Iodine containing contrast agents
3. Iodine in Sea foods
4. Normal thyroid gland

Correct answer: 4. Normal thyroid gland

Explanation: Amiodarone can cause thyrotoxicosis by either a Jod-Basedow effect from the iodine load, in the setting of MNG or incipient Graves' disease, or a thyroiditis-like condition. Contrast agents and other iodine-containing substances should be avoided because of the risk of inducing the Jod-Basedow effect, characterized by enhanced thyroid hormone production by autonomous nodules. Usual causes: An iodide load can induce hyperthyroidism (Jod-Basedow effect) in some patients with multinodular goiter, latent Graves disease, and rarely in individuals with thyroid glands that appear otherwise normal. Although they appear normal, there is usually an underlying thyroiditis. Jod-Basedow effect does not occur in persons with normal thyroid glands, as thyroid hormone synthesis and release in normal persons is controlled by pituitary TSH secretion, which does not allow hyperthyroidism when extra iodine is ingested. Seafoods and seaweed like Kelp has very high Iodine content and can cause Jod-Basedow effect. Ref: Weetman A.P., Jameson J.L. (2012). Chapter 341. Disorders of the Thyroid Gland. In D.L. Longo, A.S. Fauci, D.L. Kasper, S.L. Hauser, J.L. Jameson, J. Loscalzo (Eds), Harrison's Principles of Internal Medicine, 18e; Cooper D.S., Ladenson P.W. (2011). Chapter 7. The Thyroid Gland. In D.G. Gardner, D. Shoback (Eds), Greenspan's Basic & Clinical Endocrinology, 9e.